All of the following are absolute indications for tonsillectomy, except
1. Recurrent attacks
2. Peritonsillar abscess
3. Suspected malignancy
4. Acute tonsillitis

Correct answer: 4. Acute tonsillitis

Explanation: Recurrent throat infections, peritonsillar abcess, tonsillitis causing febrile seizures, hypertrophy of tonsils causing sleep apnoea or speech interference and any suspicion of malignancy are absolute indications for tonsillectomy.